Pulsus paradoxus is a characteristic feature of:
1. Constrictive pericarditis
2. Cardiac Tamponade
3. Hypertrophic obstructive cardiomyopathy
4. Restrictive cardiomyopathy

Correct answer: 2. Cardiac Tamponade

Explanation: Answer is B (Cardiac Tamponade) Pulsus Paradoxus is most characteristic of cardiac tamponade amongst the options provided. Feature Cardiac Tamponade Constrictive Pericarditis Restrictive Cardiomyopathy RVMI Pulsus paradoxus Common Usually Absent Rare Rare Pulsus Paradoxus is much more common with cardiac tamponade than with constrictive pericarditis of paradoxical pulse is considered more characterstic of cardiac tamponade than constrictive pericarditis. Presence of paradoxical pulse is however not a specific feature of cardiac tamponade